After hepatitis B vaccination child with allergic family history and pruritis involving face & convexities developed numerous umblicated vesicles; which became pustular & haemorhagic & crusted. After 2 days child developed high fever and lymphadenopathy. The diagnosis is
1. Secondary infected atopic dermatitis
2. Molluscum contagiosum
3. Eczema herpaticum
4. Eczema vaccinatum

Correct answer: 3. Eczema herpaticum

Explanation: * Eczema herpeticum or Kaposi's varicelliform eruption results from wide spread (usually) primary HSV- 1 (herpes simplexl) infection in skin damaged by atopic dermatitis (eczema)Q. * Patients with atopic eczema may develop severe orofacial herpes simplex virus (HSV) infectionQ (eczema herpaticum), which may rapidly involve extensive areas of skin & occasionally disseminate to visceral organs. Systemic acyclovir or valaciclovir is treatment of choice. * In atopic dermatitis patients, small pox vaccination or even exposure to vaccinated individual, may cause severe wide spread erruption (k/a eczema vaccinatum) that resembles to eczema herpaticum. * Kaposis varicelliform eruptions manifest either as - eczema herpeticum or eczema vaccinatum Ref : Thomas b Habif 6th Ed.